Russel's periodontal index scores range from
1. 0-2
2. 0-4
3. 0-6
4. 0-8

Correct answer: 4. 0-8